Inoue balloon is used in treatment of ?
1. ASD
2. Mitral stenosis
3. Mitral regurgitation
4. Patent foreman ovale

Correct answer: 2. Mitral stenosis

Explanation: Inoue-Balloon catheter is indicated for percutaneous transvenous mitral commissurotomy in patients with hemodynamically significant mitral valvular stenosis resulting primarily from commissural fusion of the mitral valve cusps.